Squamous cell ca of urinary bladder is predisposed to by -a) Urolithiasisb) Persistent Urachusc) Schistosomiasisd) Polype) Smoking
1. ac
2. bc
3. ad
4. b

Correct answer: 1. ac

Explanation: Persistent urachus is a risk factor for adenocarcinoma of bladder.